Paraplegia involves;
1. Both the upper limb.
2. Both the lower limb .
3. One upper and lower limb.
4. Any of the above.

Correct answer: 2. Both the lower limb .

Explanation: Paraplegia is due to impairment in motor or sensory function of the lower extremities.